Anterior focal point is at distance of ______in front of cornea in reduced eye -
1. 22-6 mm
2. 17-2 mm
3. 15-7 mm
4. 24-13 mm

Correct answer: 3. 15-7 mm

Explanation: Point Distance in Listing's Reduced Eye Nodal Point 7.2 mm behing the anterior corneal surface Anterior Focal Point Posterior Focal point Anterior focal length Posterior Focal length Uniform Refractive Index 15.7mm anterior to anterior corneal surface 24.13mm behind anterior corneal surface 17.2mm 22.63 mm 1.336 Reference: Optics and Fefraction AK Khurana 7th edition page30,31